Coracoid process is a ____________ kind of epiphysis -
1. Atavistic
2. Pressure
3. Traction
4. Aberrant

Correct answer: 1. Atavistic